Corneal vascularization is seen in deficiency of which vitamin?
1. B1
2. B2
3. B3
4. B4

Correct answer: 2. B2

Explanation: Corneal vascularization is seen in deficiency of vitamin B Vitamin B2 (Riboflavin) vitamin B1 Vitamin B3 (Niacin) Deficiency-characterized by Cheilosis Desquamation and inflammation of the tongue (MAGENTA TONGUE) Seborrheic dermatitis Measurement of the activation of erythrocyte glutathione reductase by FAD added in vitro to assess nutritional status of B2 It has a specific coenzyme TPP (thiamine pyrophosphate) this help in carbohydrate metabolism Deficiency of B1 cause beri-beri Deficiency causes pellagra pellagra C/F:- Involves Skin,GIT and CNS Dermatitis Diarrhea Dementia Death